BRCA-1 gene is located on?
1. Chromosome 13
2. Chromosome 11
3. Chromosome 17
4. Chromosome 22

Correct answer: 3. Chromosome 17

Explanation: Ans. c. Chromosome 17 BRCA-I is located on Chromosome 17.BRCA-1BRCA-2* Chromosome: 17deg* BRCA-1 associated breast cancers:- Invasive ductal carcinomas- Poorly differentiated0- Hormone-receptor negative0- Early age of onset- Bilateral* Associated ovarian, colon and prostate cancers0.* Chromosome: 13deg* BRCA-2 associated cancers:- Invasive ductal carcinomas- Well differentiated0- Hormone-receptor positive0.- Early age of onset- Bilateral* Associated ovarian, colon, prostate, pancreas, gall bladder, stomach cancers and melanoma."Women who inherit a mutated allele of BRCA-1 gene from either parent have at least a 60-80% lifetime chance of developing breast cancer and about a 33% chance of developing ovarian cancer. - Harrison 18/e p754SyndromeGenesLocationsBreast/ovanan syndromeBRCA117BRCA2373degCowdems diseasePTEN070degFAPAPCdeg5degHNPCChMLH1deg3deghMSH2G2deghMSH62deghPMS12deghPMS27degHereditary papillary RCCMET07degLi-Fraumenip53deg17deghCHK222MEN-1MEN1deg11degMEN-2RE7deg10degNF-1NF1deg17degNF-2NF2deg22degPeutz-Jegher's syndromeSTK11019degRetinoblastomaRBG13degTuberous sclerosisTSC1Q9degTSC2G16PVHL syndromeVHLQ3degWilms' tumorWTdeg11deg